Bone in a bone appearance is seen in all except -
1. Neonates
2. Acromegaly
3. Osteopetrosis
4. Active scurvy

Correct answer: 4. Active scurvy

Explanation: Ans. is 'd' i.e., Active scurvyo Bone in Bone appearance is seen in healed scurvy (not in active disease),o Bone within a bone appearance is seen in : -# Normal neonate# Prostaglandin El therapy# Growth arrest'recovery lines# Heavy metal (e.g., Lead) poisoning# Bisphosphonate therapy# Hypothyroidism & Hypoparathyroidism# Sickle cell anemia# Hypercalcemia & Hypervitaminosis D# Osteopetrosis# Rickets / Osteomalacia (healed phase)# Acromegaly# Scurvy (healed phase)